Vitamin "D" deficiency causes all except:
1. Widening of predentin
2. Defective calcification
3. Microdontia
4. Inter globular dentin formation

Correct answer: 3. Microdontia